Which of the following contains site of attachment of calcium ions that initiates muscle contraction?
1. Troponin I
2. Troponin T
3. Troponin C
4. Myosin

Correct answer: 3. Troponin C

Explanation: Troponin T binds the troponin components to tropomyosin; troponin I inhibits the interaction of myosin with actin; and troponin C contains the binding sites for the Ca2+ that helps to initiate contraction.
Ganong 23 rd ed, pg 96